Extension for prevention is directly related to:
1. Removal of unsupported enamel on proximal surface of Class III cavity
2. Depth of the axial wall of a class III cavity preparation
3. Elimination of all carious dentin beyond average depth of pulpal wall
4. The outline form of the cavity preparation

Correct answer: 4. The outline form of the cavity preparation